DOC for rapid cycling MDP -
1. Lithium
2. Valproate
3. Calcium channel blocker
4. Carbamazepine

Correct answer: 2. Valproate

Explanation: DOC for rapid cyclers is Valproate. 
Alternatives are Lithium, Carbamazepine and Lamotrigine.